In fatty acid synthesis, CO2 loss occurs in which step
1. Hydration
2. Dehydration
3. Condensation reaction
4. Reduction

Correct answer: 3. Condensation reaction

Explanation: Condensation reaction 

CO2 is liberated from malonyl residue during condensation reaction, i.e. condensation of malonyl moiety with acetyl moiety.